MC cause of diarrhea in children of developing country' is -
1. EHEC
2. ETEC
3. EAEC
4. EIEC

Correct answer: 2. ETEC

Explanation: Ans. is 'b' i.e ., ETEC "Enterotoxigenic E. coli (ETEC) pathotype is the most frequent bacterial cause of diarrhea in infants and children of the developing world, especially in tropical regions".Desk Encyclopedia of microbiology"In developing countries ETEC are a major cause of mortality in children under the age of 5 years, and a significant cause of diarrhea in travellers visiting countries where ETEC are endemic ". -- GreenwoodPathotypeEpidemiologyClinical SyndromeDefining Molecular traitGenetic ElementSTECFood, water, person- to-person; all ages, industrialized countriesHemorrhagic colitis, hemolytic uremic syndromeShiga toxinLambdalike Stx 1 - or Stx2 - encoding bacteriophageETECFood, water; young children in and travelers to developing countriesTraveler's diarrheaHeat - stable and labile enterotoxins, colonization factorsVirulence plasmid (s)EPECPerson-to-person; young children and neonates in developing countriesWatery diarrheaLocalized adherence, attaching and effacing lesion on intestinal epitheliumEPEC adherence factor plasmid pathogenicity island (locus for enterocvte effacement)El ECFood, water; children in and travelers to developing countriesDysenteryInvasion of colonic epithelial cells, intra- cellular multiplication, cell-to-cell spreadMultiple genes contained primarily in large virulence plasmidEAEC? Food, water; children in and travelers to devel-oping countries; all ages, industrialized countriesTraveler's diarrhea, acute diarrhea, persistent diarrheaAggregative / diffuse adherence, virulence factors regulated by AggRChromosomal or plasmid-associated adherence and toxin genes